Primary prevention of obesity -
1. Low fiber diet
2. High fiber diet
3. High cholesterol diet
4. High intake of protein

Correct answer: 2. High fiber diet

Explanation: Fiber content in the diet should be increased through the consumption of common unrefined food, it decreases the absorption of carbohydrate . Ref-Park's textbook of Preventive and Social Medicine 24th edition. .